Which one of the following activities cannot be formed by a 7 month old infant-
1. Pivot
2. Cruise
3. Transfer objects
4. Enjoy mirror

Correct answer: 2. Cruise

Explanation: Ans. is 'b' i.e., Cruise